Chorionic villous sampling done before 10 weeks may result in -
1. Foetal loss
2. Fetomatemal haemorrhage
3. Oromandibular limb defects
4. Sufficient material not obtained

Correct answer: 3. Oromandibular limb defects

Explanation: Ans. is 'c' ie Oromandibular limb defects " Chorionic villous sampling is usually performed at 10-13 weeks and is associated with several complications but studies suggests that limb reduction and oromandibular limb hypogenesis is more common if CVS is done before 9 weeks so CVS is done after 9 wks because it is more safe" - Williams, 21/e, p990NoteDon't get confused by what Harrison states on page 399, 15/e" There is an increased association of limb defects when the procedure in performed later (>=11 weeks of gestation)"Harrison is wrong here !